Formication is seen
1. Cannabis
2. Cocaine
3. Opioids
4. Ecstasy

Correct answer: 2. Cocaine

Explanation: Formication - also know as magnan phenomenon or cocaine bugs it is tactile type of hallucination seen in cocaine intoxication Jet black pigmentation - also seen in cocaine Flashback phenomenon / run amok / amotivational syndrome - seen in cannabis Flu like syndrome (water from everywhere - lacrimation, sweating, rhinorrhea and diarrhea) seen in opioids withdrawal